Which phase of the cell cycle is resistant to most chemotherapeutic agents, i.e., those that are classified as phase-specific?
1. G0
2. G1
3. G2
4. M

Correct answer: 1. G0